True about Leiomyoma is all except
1. Fibroids are most common is obese females
2. Smoking is protective for leiomyomas
3. Most common in multi parous women
4. Fibroids are more common is African - american females.

Correct answer: 3. Most common in multi parous women

Explanation: Fibroid is most common in Nulliparous females.